Homer Wright rossete is seen in?
1. Neuroblastoma
2. Nephroblastoma
3. Ependymoma
4. Rhabdomyosarcoma

Correct answer: 1. Neuroblastoma

Explanation: Ans. (a) Neuroblastoma(Ref: Robbins 9th/pg 1306)Types of rosettes are given below:Homer Wright rossete:Neuroblastoma, medulloblastomaPerivascular pseudorosette:EpendymomaFlexner wintersteiner rosette:RetinoblastomaTrue rosette: Ependymoma